A patient presents with Arthritis, hyperpigmentation of skin and hypogonadism, likely diagnosis is:
1. Hemochromatosis
2. Ectopic ACTH secreting tumour of the lung
3. Wilson's disease
4. Rheumatoid arthritis

Correct answer: 1. Hemochromatosis

Explanation: Characteristics of Heamochromatosis(1) a genetic predisposition without abnormalities;(2) iron overload without symptoms; (3) iron overload with symptoms(e.g., arthritis and fatigue); and (4) iron overload with organ damage--in particular, cirrhosis.Ref: Harrison's 18/e p3164, 17/e p2433